Northern Blot is used to detect
1. Proteins
2. RNA
3. DNA
4. Enzymes

Correct answer: 2. RNA

Explanation: Southern Blot - DNA
Northern Blot - RNA
Western Blot - Proteins.